The denominator used for calculating literacy rate is
1. Population above 7 years
2. Population above 14 years
3. Entire population
4. Per 1000 population

Correct answer: 1. Population above 7 years